Diplegia means:
1. Weakness of upper limbs
2. Weakness of lower limbs
3. Weakness of unilateral upper and lower limbs
4. Weakness of the all four limbs

Correct answer: 2. Weakness of lower limbs

Explanation: Ref: Nelson's Textbook of Pediatrics 18th edition: page no.2494-95Explanation:All these terminology are used to describe cerebral palsy in childrenSpastic hemiplegia is a weakness of unilateral upper and lower limbs. The arm is often more involved than the leg.Spastic diplegia is bilateral spasticity of the legs greater than in the armsSpastic quadriplegia is the most severe form of CP because of marked motor impairment of all extremities and the high association with intellectual disability and seizures. (See the following table)Classification of Cerebral Palsy and Major CausesMotor SyndromeNeuropathologyMajor CausesSpastic diplegiaPeriventricular leukomalacia (PVL)PrematurityIschemiaSpastic quadriplegiaMulti cystic encephalomalacia. MalformationsIschemia, infection genetic/developmentalHemiplegiaStroke :in utero or neonatalThrombophilic disorders InfectionGenetic/developmental Periventricular hemorrhagic infarctionExtra pyramidal (athetoid, dyskinetic)Pathology:putamen, globus pallidus, thalamus, basal gangliaAsphyxiaKernicterus